A child presents with fever, stridor and barking cough. His X-ray is given below: Following is true about the patient:
1. Symptoms are predominantly caused by involvement of subglottis
2. Antibiotics should be started immediately
3. X-ray is showing thumb sign
4. Caused by H. influenzae b

Correct answer: 1. Symptoms are predominantly caused by involvement of subglottis

Explanation: (a) Symptoms are predominantly caused by involvement of subglottis(Ref. Cummings, 6th ed., 3049; Scott Brown, 8th ed., Vol 1; 326)